During extraction of the upper first molar, the mesio buccal root is missing and is suspected to have been pushed into the maxillary sinus.
The best position for the patient immediately after the incident is
1. To position the patient upright
2. To position the patients in a semi inclined posture to visualize the perforation
3. Trendelenberg position
4. Reverse trendelenberg position

Correct answer: 1. To position the patient upright